In chronic renal failure, which of the following diuretics is contraindicated?
1. Ethacrynic acid
2. Furosemide
3. Triamterene
4. Bumetanide

Correct answer: 3. Triamterene

Explanation: Potassium sparing diuretics like Amiloride and Triamterene etc are avoided in patients with renal failure due to risk of development of severe hyperkalemia. Loop diuretics are safe in renal failure. Ethacrynic acid, furosemide and bumetanide are examples of loop diuretics. Ethacrynic acid is associated with deafness